Cholesteatoma commonly perforates:
1. Lat. Semicircular canal
2. Sup. semicircular canal
3. Promontory
4. Oval window

Correct answer: 1. Lat. Semicircular canal

Explanation: Ans. is a i.e. Lateral semicircular canal Cholesteatoma has the property to destroy the bone by virtue of the various enzymes released by it. Structures immediately at the risk of erosion are: - Long process of incus.deg - Fallopian canal containing facial nerve.deg - Horizontal/lateral semicircular canal.deg